HBV all true, except:
1. It is a DNA virus
2. Spreads by blood transfusions
3. HBsAg marker of infection
4. Least chance of chronicity

Correct answer: 4. Least chance of chronicity

Explanation: Ans. is 'd' i.e., Least chance of chronicity (Ref: Harrison, 18th/e, p. 2546; 17th/e, p. 1939)* Least chances of chronicity are with HAV and HEV.* Maximum chance of chronicity is with HCV.* 90% of infants infected with HBV , become chronically infected.Remember: By definition,HBV chronic carriers are those in whom HBsAg persists for more than 6 months.